A 2-year-old child has been followed for intellectual disability and slow development, as well as multiple birth defects. The child has a high-pitched catlike cry. On examination, microcephaly, hypertelorism, micrognathia, epicanthal folds, low-set ears, and hypotonia are noted. Karyotypic analysis would be expected to show
1. 5p-
2. 22q11-
3. 45,XO
4. 46,XY

Correct answer: 1. 5p-

Explanation: The clinical presentation is that of the cri du chat (or 5p-) syndrome. Cri du chat Partial deletion of the short arm of chromosome 5 Ho-pitched catlike cry Microcephaly, Hypertelorism, Micrognathia, Epicanthal folds, Low-set ears, Hypotonia